Peripheral neuropathy can be as a side effect of all of the following anti-retroviral drugs, EXCEPT:
1. Lamivudine
2. Didanosine
3. Stavudine
4. Zalcitabine

Correct answer: 1. Lamivudine

Explanation: Peripheral neuropathy is a rare side effect of Lamivudine. Side effects of lamivudine are headache, fatigue, nausea, anorexia and abdominal pain. Predominant side effect of stavudine is peripheral neuropathy. Predominant side effect of Zalcitabine is peripheral neuropathy, other side effects asssociated with it are pancreatitis, thrombocytopenia, neutropenia, hepatotoxicity and cardiomyopathy. Prominant dose related toxicity of Didanosine is pancreatitis and peripheral neuropathy.